The cecum is found to be placed below the stomach and is middine. which of the following abnormally must have taken place while rotation of gut?
1. Malrotation
2. Non rotation
3. Reverse rotation
4. Mixed rotation

Correct answer: 4. Mixed rotation

Explanation: Cecum - sub pyloric in mixed rotation.